Transport medium for Streptococcus will be
1. Pikes medium
2. Stuarts medium
3. VR medium
4. Selenite F medium

Correct answer: 1. Pikes medium

Explanation: Transport media: used to transport the specimen from collection place to laboratory. Transport media mainly used to avoid multiplication of commensals in the particular sample.

Stuart (charcoal swab), Amies medium -Gonococcus o Pikes - Streptococcus
Venkatraman Ramakrishnan medium, autoclaved sea water, Alkaline salt water- Vibrio
Buffered glycerol saline–Typhoid bacilli o Carry Blair medium–Enteric pathogen